Which of the following condition is characterized by abnormally large pulp chamber?
1. Amelogenesis imperfecta
2. Regional odontodysplasia
3. Dentinogenesis imperfecta
4. Dentinal dysplasia type I

Correct answer: 2. Regional odontodysplasia